True about ranula is:
1. Mucocele in the floor of the mouth due to trauma of the submandibular gland duct is called renula.
2. Ranula is painful.
3. Does not move along with the movement of the tongue.
4. All of the above.

Correct answer: 1. Mucocele in the floor of the mouth due to trauma of the submandibular gland duct is called renula.

Explanation: A mucocele in the floor of the mouth due to trauma of the submandibular or sublingual gland duct is called as Ranula. These are painless slow-growing lesions and move along with the movement of the tongue.